Ketone bodies cannot be utilized by which of the following?
1. Skeletal muscle
2. Red blood cells
3. Brain
4. Heart

Correct answer: 2. Red blood cells

Explanation: Ans. b. Red blood cells (Ref: Harper's 27/e p190-191)Ketone bodies cannot be utilized Red blood cells.Substrate utilized for energy productionOrganFedFastingStarvationBrainGlucoseGlucoseKetone bodiesQHeartFatty acidQFatty acidKetone bodiesLiverGlucoseFatty acidAmino acidMusclesGlucoseFatty acidFatty acidHeart utilizes fatty acids even in fed state. Brain doesn't use fatty acid for energy production.